Traveller's diarrhoea is caused by ?
1. Enteropathogenic E. coli
2. Enterohaemorrhagic E. coli
3. Enterotoxigenic E. coli
4. Enteroinvasive E. coli

Correct answer: 3. Enterotoxigenic E. coli

Explanation: Ans. is `c i.e., Enterotoxigenic E. coli